A mother brought her 10-month-old baby to PHC centre with complaints of loose watery stools and vomiting from 1 day. On examination child was dehydrated and had fever. Which of the following can be the most common cause of child's condition?
1. E. coli
2. Rotavirus
3. Shigella
4. Malnutrition

Correct answer: 2. Rotavirus

Explanation: Rotavirus- MC and leading cause of watery diarrhea in children aged <5 years globally. In developing countries, 3/4th of children acquire their first episode of rotavirus diarrhea before the age of 12 months. Severe rotavirus gastroenteritis is largely limited to children aged 6-24 months. Transmit by feco-oral route / indirectly by contaminated fomites. Causes diarrhea & vomiting leading to dehydration. Other options: E. coli can cause travellers' diarrhea. It is also most common bacterial cause of UTIs Shigella causes bloody diarrhea. Malnutrition causes persistent diarrhea - which lasts 14 days or longer.